World health day -
1. 7th April
2. 7th July
3. 7th Dec
4. 7th Feb

Correct answer: 1. 7th April

Explanation: The constitution came into force on 7 th April 1948 which is celebrated every year as "world health Day ".A world health day theme is chosen each year to focus attention on a specific aspect of public health (refer pgno:919 park 23rd edition)